Shock lung is characterized by which of the following
1. Alveolar proteinosis
2. Diffuse alveolar damage
3. Bronchiolis obliterans
4. Diffuse pulmonary hemorrhage

Correct answer: 2. Diffuse alveolar damage

Explanation: o Make it clear that shock lung is a synonym for acute respiratory distress syndrome,
diffuse alveolar damage acute alveolar injury and acute lung injury.
Shock lung = ARDS = Diffuse alveolar damage = Acute alveolar injury = acute lung injury Pahology i. Acute stage o The lungs are heavy firm,
red and boggy and exhibit congeson, intersal and intraaiveolar edema, inflammaon and fibrin deposion.
 The alveolar walls become lined with waxy hyaline membranes that are morphologically similar to those seen in hyaline membrane disease of neonates.
The hyaline membrane contains fibrin rich edema fluid mixed with the cytoplasmic and lipid remnants of necroc epithelial ceils.
ii. Organizing stage o In this stage type II epithelial cells undergo proliferaon in an aempt to regenerate the alveolar lining.
iii. Resoluon o Resoluon is unusual